Maxillary sinusitis due to viral etiology is:
1. Treated as bacterial sinusitis only.
2. Self limiting.
3. More severe than bacterial sinusitis.
4. All of the above.

Correct answer: 2. Self limiting.